Centrally acting sympatholytic agent used as anti hypertensive agent is:
1. Propanolol
2. Moxonidine
3. Prazosin
4. Phenoxybenzamine

Correct answer: 2. Moxonidine

Explanation: Clonidine, moxonidine,relminidine are centrally acting antihypertensives They cross the blood-brain barrier and stimulates alpha2A receptors in vasomotor Centre and decreases sympathetic outflow from VMC. This lead to a decrease in blood pressure. (REF: ESSENTIALs OF MEDICAL PHARMACOLOGY-K.D TRIPATHI 8th Edition)